Which of the following glucose transporter mediates insulin stimulated glucose uptake?
1. SGLT-1
2. GLUT-1
3. GLUT-2
4. GLUT 4

Correct answer: 4. GLUT 4

Explanation: Insulin stimulated glucose uptake into fat and muscle cells is mediated by GLUT 4. Insulin stimulates translocation of a pool of GLUT 4 to the plasma membrane through targeted exocytosis and depress the rate of GLUT4 endocytosis.